Most common cause of infertility in females is due to the disorder of
1. Uterus
2. Ovarian
3. Vagina
4. Cervix

Correct answer: 2. Ovarian

Explanation: (B) Ovarian# Common causes of infertility of females include:> Ovulation problems (E.g. Polycystic ovarian syndrome, PCOS, the leading reason why women present to fertility clinics due to anovulatory infertility, tubal blockage, pelvic inflammatory disease caused by infections like tuberculosis> Age-related factors, Uterine problems, Previous tubal ligation, Endometriosis, Advanced maternal age